All of the following are trigeminal autonomic cephalgias except
1. Paroxysmal hemicranias
2. Episodic cluster headache
3. Tension type headache
4. Short lasting unilateral neuralgiform headache attacks

Correct answer: 3. Tension type headache

Explanation: The innervation of the large intracranial vessels and dura mater by the trigeminal nerve is known as the trigeminovascular system. Cranial autonomic symptoms, such as lacrimation, conjunctival injection, nasal congestion, rhinorrhea, periorbital swelling, aural fullness, and ptosis, are prominent in the trigeminal autonomic cephalalgias (TACs), including cluster headache and paroxysmal hemicrania, and may also be seen in migraine, even in children. These autonomic symptoms reflect activation of cranial parasympathetic pathways, and functional imaging studies indicate that vascular changes in migraine and cluster headache, when present, are similarly driven by these cranial autonomic systems Ref Harrison 20th edition page 85, page 3097( table422-1)